Active and passive immunity should be given together in all except:
1. Tetanus
2. Rabies
3. Measles
4. Hepatitis B

Correct answer: 3. Measles

Explanation: - Measles vaccine efficacy is reduced by concurrent administration of measles immunoglobulin. - Measles vaccine alone gives quite good (immunity) level of protection. - Hence we avoid giving Measles Immunoglobulin alongwith measles vaccine. - For tetanus, rabies & Hep B vaccination & Ig can be given together.